All are seen in 3rd nerve palsy except?
1. Ptosis
2. Diplopia
3. Miosis
4. Outwards eye deviation

Correct answer: 3. Miosis